Biopsy findings of celiac disease all of the following, except
1. Crypt hyperplasia
2. Villous atrophy
3. Mucosal atrophy
4. Intraepithelial lymphocytes

Correct answer: 3. Mucosal atrophy

Explanation: Answer is C (Mucosal atrophy) Mucosa! atrophy and presence of Giardia lambia are not seen in biopsy front celiac disease. Small Intestinal Biopsy (duodenal /jejunal) in Celiac disease (Characteristic but not diagnostic()) Absence or reduced height of villi (Flat appearance)() Crypt hyperplasia, villous atrophy (but not mucosal atrophy)() Cuboidal appearance of epithelial cells and increased intraepithelial lymphocytes Increased lymphocytes and plasma cells in lamina propriaQ